Progressive dysphagia for solids and liquids is found in carcinoma of?
1. Oropharynx
2. Hypopharynx
3. Nasopharynx
4. All

Correct answer: 2. Hypopharynx

Explanation: ANSWER: (B) HypopharynxREF: Harrison s 16th ed p. 217Intermittent dysphagiaProgressive dysphagia* Diffuse esophageal spasm* Ca esophagus (hypopharynx)* Pharyngeal diverticulum* Stricture* Schatzki ring* Achalasia cardia* Esophagitis